Ridley-Jopling classification includes all except:
1. Lepromaious leprosy
2. Borderline borderline
3. Tuberculoid
4. Neuritic

Correct answer: 4. Neuritic

Explanation: Ans: D (Neuritic) Ref: Thappa, Essentials in Dermatology. 1st ed. Pg 236Explanation:Ridley and Jopling classified leprosy taking into account the immunological and histopathological basis in addition to clinical and bacteriological findings.ClassificationTuberculoid Tuberculoid (TT)Borderline T uberculoid (BT)Borderline Borderline/ Mid Borderline/ Dimorphous leprosy t (BB)Border] i ne Lepromatou s (BL)Lepromatous Lepromatous (LL)Note: Two other types of leprosy wrhich are not classified under Ridley-Jopling classification (but included in Indian Leprologist Association classification) are:Indeterminate leprosyPolyneuritic leprosy